Soil may acts as reservoir for all except -
1. Brucellosis
2. Anthrax
3. Tetanus
4. Coccidiomycosis

Correct answer: 1. Brucellosis

Explanation: Ans. is 'a' i.e., Brucellosis Reservoir in non-living things o Soil and inaminate matter can also act as reservoirs of infection. o For example, soil may harbour agents that cause tetanus, anthrax, Coccidiomycosis, mycetoma.